In acute organophosphorous poisoning which of the following is seen -
1. Dry lungs
2. Edematous lungs
3. Pneumonia
4. Pleural rub

Correct answer: 2. Edematous lungs

Explanation: Organophosphate poisoning causes pulmonary edema.